Most common cause of obstructive jaundice
1. Periampullary carcinoma
2. Carcinoma gall bladder
3. Carcinoma head of pancreas
4. CBD stones

Correct answer: 4. CBD stones

Explanation: Most common cause of obstructive jaundice is CBD stones.It can also be caused by Carcinoma head of pancreas,Carcinoma of periampullary region,Carcinoma of gallbladder,Biliary stricture,& Viral hepatitis.Obstructive jaundice caused by gallstones is intermittent while in the rest of the cases,jaundice progressively increases over weeks. Reference:SRB's manual of surgery,5th edition,page no:651